Homonymous hemianopia is seen in all except -
1. Optic nerve lesion
2. Optic tract lesion
3. Lesions of lateral geniculate body
4. Visual cortex lesion

Correct answer: 1. Optic nerve lesion

Explanation: Lesions of the optic nerve. These are characterised by marked loss of vision or complete blindness on the affected side associated with abolition of the direct light reflex on the ipsilateral side and consensual on the contralateral side. Near (accommodation) reflex is present. Common causes of optic nerve lesions are: optic atrophy, traumatic avulsion of the optic nerve, indirect optic neuropathy and acute optic neuritis. Ref:AK Khurana 4thE pg 290